Most common Complication of dialysis is
1. Hypotension
2. Anaphylaxis
3. Dialysis dysequilibrium syndrome
4. Amyloidsis

Correct answer: 1. Hypotension

Explanation: M/C - Hypotension.